Barley water-like fluid is present in
1. Chylocele
2. Hydrocele
3. Epididymic cyst
4. Spermatocele

Correct answer: 4. Spermatocele

Explanation: Spermatocele is a unilocular, acquired retention cyst derived from blockage of some portion of the sperm conducting mechanism of the epididymis. It is situated in the head of the epididymis, above and behind the body of the testis. Swelling contains barley water like fluid, which contains spermatozoa. It is soft, cystic and transilluminant. Aspiration cytology is diagnostic. Treatment : If large, excision done. If small, left alone.Hydrocele fluid is amber coloured with specific gravity of 1.022 to 1.024. It contains water, salts, albumin, fibrinogen. Chylocele fluid contains fat, rich in cholesterol and is derived from ruptured lymph varix into the tunica. Reference : page 1069, 1071 and 1075 SRB's manual of surgery 5th edition